Cause of methaemoglobinemia are all except :
1. Nitrites
2. Phenacetin
3. Sulfonamide
4. Phenytoin

Correct answer: 4. Phenytoin

Explanation: D i.e. Phenytoin